True about relative refractory period is:
1. Response can't be generated at all
2. Due to closure of inactive gates of sodium channals
3. Due to opening of potassium channals
4. All

Correct answer: 3. Due to opening of potassium channals

Explanation: Stronge stimulus can produce response in relative refractory period Cause: it is because potassium channals are open and the membrane potential is more close to resting membrane Begins after the end of absolute refractory period Ref:Guyton and Hall textbook of medical physiology 12th edition,page number: 70